Best investigation when there is clinical suspicion of pulmonary embolism in a patient is -
1. D - Dimer assay
2. Multi detector CT angiography
3. Doppler ultrasound
4. Catheter angiography

Correct answer: 2. Multi detector CT angiography

Explanation: CT pulminary angiography is the first-line diagnostic test.It has the advantages of visualising the distribution and extent of the emboli,or highlighting an alternative diagnosis,such as consolidation,pneumothorax, or aortic dissection.A definitive diagnosis of PE depends on visualisation of an intraluminal filling defect in more than one projection.Secondary signs of PE include abrupt occlusion("cut-off") of vessels,segmental oligemia or avascularity,a prolonged arterial phase with slow filling,and tortuous,tapering peripheral vessels. Reference:Harrison's medicine-18th edition,page no:2174;Davidson's medicine-22nd edition,page no:722.